The oxygen tension of the mixed venous blood is:
1. 25 mm Hg
2. 40 mm Hg
3. 55 mm Hg
4. 70 mm Hg

Correct answer: 2. 40 mm Hg